All of the following are features of Devic's syndrome (neuromyelitis optica), except?
1. Separate attacks of acute optic neuritis and myelitis
2. Optic neuritis is either unilateral or bilateral
3. Brain MRI is typically normal
4. It has a fulminant demyelinating process and progress to death in 1-2 year

Correct answer: 4. It has a fulminant demyelinating process and progress to death in 1-2 year

Explanation: Devic's disease is a variant of multiple sclerosis. Fulminant demyelinating process is seen with another variant called Marburg's variant.